Most common nerve used for nerve conduction study in H reflex ?
1. Median nerve
2. Ulnar nerve
3. Tibial nerve
4. Peroneal nerve

Correct answer: 3. Tibial nerve

Explanation: Ans.is 'c' i.e., Tibial nerve It is recorded over the soleus or gastrocnemius muscles. It is used mos The H reflex is basically an electrophysiologically recorded Achilles tendon stretch reflex. o It is performed by stimulating the tibial nerve in popliteal fossa. t commonly to evaluate Si radiculopathy or to distinguish it from an L5 radiculopathy.